Occular basement membrane is stained by ?
1. Alcian blue
2. PAS
3. Methylene blue
4. Geimsa stain

Correct answer: 2. PAS

Explanation: Ans. is 'b' i.e., PASBasement membranes are periodic acid-Schiff (PAS) positive amorphous structures that lie underneath epithelia of differenent organs.